Mechanism of action of cephalosporin is:
1. Inhibition of beta-lactamase.
2. Inhibition of the synthesis of precursors of peptidoglycan.
3. Interference with the synthesis of ergosterol.
4. Inhibition of transpeptidation reaction.

Correct answer: 4. Inhibition of transpeptidation reaction.